The most potent form of vitamin D is
1. Ergocalciferol (Vit. D2)
2. 7 dihydroxy cholecalciferol
3. 25 dihydroxy cholecalciferol
4. 1,25 dihydroxy cholecalciferol

Correct answer: 4. 1,25 dihydroxy cholecalciferol

Explanation: 1,25 dihydroxy cholecalciferol is the metabolically active form of vitamin D. It helps in the absorption of calcium and phosphorus in the gut, and promotes bone dissolution and mineralization, thereby increasing serum calcium and alkaline phosphatase activity. Ref: Page 127; Ghai essential pediatrics; 6th edition